Vein, artery, nerve sequence is present in intercostal space at:
1. Upper Border of Rib
2. Middle Border of Rib
3. Lower Border of Rib
4. Lower Portion of Intercostal Space

Correct answer: 3. Lower Border of Rib

Explanation: Ans. C. Lower Border of RibThe intercostal space (ICS) is the anatomic space between two ribs. Since there are 12 ribs on each side, there are 11 intercostal spaces, each numbered for the rib superior to it.The neurovascular bundle in ICS has a strict order: V-A-N, or vein-artery-nerve, from top to bottom. This neurovascular bundle runs high in the intercostal space near lower Border of Rib